All are true about Wiskott-Aldrich syndrome except
1. Bloody diarrhea during infancy
2. Low IgM and elevated lgE
3. Large size platelets
4. Atopic dermatitis

Correct answer: 3. Large size platelets

Explanation: Wiscott-Aldrich syndrome:X-linked diseaseSmall sized platelets with bleeding manifestations Infections, eczema, and lymphoreticular malignancyLow serum IgM; normal serum IgG and IgA; IgE is frequently increased(ref:Harrison's 18/e p2702; 17/e p384, 2060)